Antiulcer drug is -
1. Pirenzepine
2. Methylcellulose
3. Ciprofloxacin
4. Pyrimethamine

Correct answer: 1. Pirenzepine

Explanation: Ans. is 'a' i.e., Pirenzepine Pirenzepine is a selective M1 anti-cholinergic & usual doses inhibit acid secretion by 40-50%.